Sperms acquire motility in
1. Testis
2. Epididymis
3. VAS deferences
4. Seminal vesicles

Correct answer: 2. Epididymis

Explanation: Sperm motility describes the ability of sperm to move properly through the female reproductive tract. the ability to move forward is acquired in the epididymis Ref: Ganong's review of medical physiology; 24th edition; page no:-422